Which one of the following is not a premalignant condition for colon cancer?
1. Familial adenomatous polyposis coli
2. Villous adenoma
3. Ulcerative colitis
4. Hamartomatous polyps

Correct answer: 4. Hamartomatous polyps

Explanation: .Hamartomatous polyps are seen in * Peutz-Jegher's syndrome. * Juvenile polyp. * Cronkhite - Canada syndrome. Juvenile Polyps * Commonest polyp of colorectum in infants and children. * Can cause intussusception, prolapse through rectum, bleeding. Cronkite - Canada Syndrome * Polyps in stomach, duodenum and colorectum. No polyps in oesophagus * Intractable diarrhoea, pigmentation, cachexia, alopecia, onychodystrophy * In females * 15% will have malignancy * Colonoscopic polypectomy is done. * Not a pre-malignant condition. ref:SRB's manual of surgery,ed 3,pg no 834